Management of RCC less than 4 cm in size:
1. Radical nephrectomy
2. Partial nephrectomy
3. Chemotherapy
4. Surgery followed by chemotherapy

Correct answer: 2. Partial nephrectomy

Explanation: Indications of Partial nephrectomy/Nephron sparing surgery For stage T1a RCC size up to 4cm also for most of patients with T1b 4-7 cm RCC in solitary kidney Bilateral RCC RCC with diseased contralateral kidney like Renal artery stenosis